The anticoagulant effect of warfarin is increased by all of the following EXCEPT:
1. Cimetidine
2. Phytonadione
3. Amiodarone
4. Phenylbutazone

Correct answer: 2. Phytonadione

Explanation: Vitamin K1 (phytonadione) is the antidote of warfarin. It decreases the effect of oral anticoagulants.